A 40 year old male who is being treated for UTI with Oflazacin presents to you with sudden onset of pain in the back of the ankle while running. It is still possible for him to walk but finds it difficult to stand on tiptoe. What is your diagnosis?
1. Plantar fascitis
2. Achilles tendon rupture
3. Deep vein thrombosis
4. Fracture calcaneus

Correct answer: 2. Achilles tendon rupture

Explanation: Note that the person is on ofloxacin which can cause tenosynovitis and tendon rupture. Even if the Achilles tendon ruptures it's possible for a person to walk with a limp. On performing the squeeze test you will note that plantar flexion is lesser on the affected side and he will not be able to walk on tiptoes. The treatment is tendon repair. Ref: Oxford handbook of clinical specialities, 8th Edition, Page 712